Diarrhoeas are not a feature of -
1. Rotavirus
2. Calcivirus
3. Enterovirus
4. Rhabdovirus

Correct answer: 4. Rhabdovirus

Explanation: Diarrhea not a feature of rhabdovirus(rabies virus)which include fever,headache,malaise,fatigue,encaphalitis,coma REF:ANANTHANARAYANAN TEXT BOOK OF MICROBIOLOGY 9EDITION PGNO.5 33